In 20% to 50% of cases, the COC is associated with an unerupted or impacted tooth. The tooth most commonly being:
1. Incisor
2. Canine
3. Premolar
4. Molar

Correct answer: 2. Canine

Explanation: In 20% to 50% of cases, Calcifying Odontogenic Cyst (COC) is associated with a tooth (most commonly a cuspid) and impedes its eruption. Displacement of teeth and resorption of roots may occur. Perforation of the cortical plate may be seen radiographically with enlarging lesions.
Reference: White and Pharoah's Oral Radiology Principles and Interpretation 7th edition page no 349